Tetrad of Urethritis, arthritis, conjunctivitis and oral ulcers seen in:
1. Reiter's syndrome.
2. Heerfordt syndrome.
3. Behcet syndrome.
4. Cowden syndrome.

Correct answer: 1. Reiter's syndrome.